In disaster management following are practiced except
1. Triage
2. Rehabilitation
3. Mass vaccination
4. Disaster response

Correct answer: 3. Mass vaccination

Explanation: Disaster Management includes three aspects: 1. Disaster impact and response: Search, rescue, and first-aid * Field care * Triage * Tagging * Identification of the dead 2. Rehabilitation or recovery: * Water supply * Basic sanitation and personal hygiene * Food safety * Vector control 3. Mitigation: Measures designed either to prevent hazards from causing disaster or to reduce the effects of the disaster. This also includes preparedness for any impending disasters or in disaster-prone areas. Ref: Park 24th edition